Drug of choice in type I lepra reaction with severe neuritis is:
1. Systemic steroid
2. Clofazimine
3. Thalidomide
4. Chloroquine

Correct answer: 1. Systemic steroid

Explanation: Therapy for Reactions Type 1 lepra reactions are best treated with glucocorticoids (e.g., prednisone, initially at doses of 40-60 mg/d). As the inflammation subsides, the glucocorticoid dose can be tapered, but steroid therapy must be continued for at least 6 months Type 2 Lepra reaction: If ENL is mild (i.e., without fever or other organ involvement), it may be treated with antipyretics alone. In cases with many skin lesions, fever, malaise, and other tissue involvement, brief courses (1-2 weeks) of glucocorticoids are effective. If, despite two courses of glucocorticoid therapy ENL appears to be recurring and persisting, treatment with thalidomide should be initiated